Chemo prevention trials shown effective in reducing of –  a) Lymphoma  b) Breast Ca  c) Pancreatic Ca  d) Ca urinary bladder  e) Aero digestive tract
1. ab
2. be
3. ace
4. acd

Correct answer: 2. be